A 74-year-old man has a 5-hour elective operation for repair of an abdominal aortic aneurysm. He had a small myocardial infarction 3 years earlier. In the ICU on the first postoperative day, he is hypotensive and is receiving dobutamine by continuous infusion.select the best method of physiologic monitoring necessary for the patient.
1. Central venous catheterization
2. Pulmonary artery catheterization
3. Blood-gas monitoring
4. Intracranial pressure monitoring

Correct answer: 2. Pulmonary artery catheterization

Explanation: This patient requires pulmonary artery catheter readings to allow his physicians to assess his volume status and need for ongoing inotropic support. Furthermore, the patient continues to be hypotensive and requires further investigation as to the etiology that would subsequently dictate treatment (volume, afterload reduction, etc). Central venous monitoring alone does not allow the physician to assess cardiac function. Miller's anaesthesia 9th edition p578